All nerve are involved in superior orbital fissure syndrome except -
1. 1st
2. 3rd
3. 4th
4. 6th

Correct answer: 1. 1st

Explanation: Ans. is 'a' i.e., 1stSuperior orbital fissure syndromeo The superior orbital fissure is a cleft between the lesser and greater wing of sphenoid.o The structures passed through superior orbital fissure are 3rd, 4th, 6th nerve, ophthalmic division of 5th nerve, superior & inferior division of ophthalmic vein and sympathetic fibres,o Therefore symptoms of superior orbital fissure syndrome are same as in cavernous sinus thrombosis, i.e., painful ophthalmoplegia :-Pain (retro-orbital pain) and sensory disturbances in the V] (ophthalmic division of 5th nerve)distributionIpsilateral ophthalmoplegia (3rd, 4th and 6th nerve involvement).